Early tongue changes seen in scarlet fever is
1. Raspbery tongue
2. Strawberry tongue
3. Auspitz's sign
4. Nikolsky's sign

Correct answer: 2. Strawberry tongue